Which of he following  devices doesn’t use the principle of fluorescence in diagnosis of caries
1. Diagnodent
2. QLF
3. FOTI
4. Soprolife

Correct answer: 3. FOTI

Explanation: DIAGNOdent is an instrument designed to facilitate the detection  and  quantification  of  dental  caries  on  occlusal and smooth surfaces (Kaltenbach & Voigt GmbH & Co., Biberach/Riss,  Germany). It  uses  a  diode  laser light source and a fibreoptic cable that transmits the light to a handheld probe with a fibreoptic eye in the tip. The light is absorbed and induces infrared fluorescence by organic and inorganic material. The emitted fluorescence is collected  at the probe tip, transmitted through  ascending  fibres,  and  processed  and  presented on a display window as an integer between 0 and 99. Increased  fluorescence  reflects  potential  caries-affected tooth substance. The identity of the material responsible that DIAGNOdent is capable of detecting relatively advanced caries lesions, and DIAGNOdent readings show a very good correlation with histologic evidence of caries, but not with the depths of the lesions in dentin.
Conventional clinical caries examinations routinely use transillumination to identify lesions located on the interproximal surfaces of the anterior teeth. For at least  30 years a fibreoptic transillumination (FOTI) instrument has been available for clinical use. It provides an intense light beam that is transmitted through a fibreoptic cable to a specially designed probe to permit the use of transillumination on the proximal surfaces of posterior teeth, Repeated improvements have been made in the instrument so that it may be used on occlusal and proximal tooth surfaces and the instrument is commonly used, often in place of radiographs, in private practices in Europe.